Streptococcus toxin which is responsible for connective tissue breakdown?
1. Hyaluronidase
2. Streptolysin O
3. Streptolysin S
4. Streptococcus pyogenic exotoxin

Correct answer: 1. Hyaluronidase

Explanation: ANSWER: (A) HyaluronidaseREF: Jawetz Microbiology 24th Ed Ch 15Hyaluronidase splits hyaluronic acid, an important component of the ground substanceof connective tissue. Thus, hyaluronidase aids in spreading infecting microorganisms(spreading factor). Hyaluronidases are antigenic and specific for each bacterial or tissue source. Following infection with hyaluronidase-producing organisms, specific antibodies are found in the serum.